All are transmitted by milk except
1. Tuberculosis
2. Brucellosis
3. Q Fever
4. Leishmaniasis

Correct answer: 4. Leishmaniasis

Explanation: Leishmaniasis is caused by Leishmania donovani. It is a parasitic infection. L.donovani passes its life cycle in 2 hosts, vertebrate host ( man and dog), invertebrate host (female sand fly of genus Phlebotomus). The disease is transmitted by the bite of the infected sand fly. In bovine tuberculosis infected cows excreted bacilli in the milk which can then infect people who drink it wrong. Ref: Baveja textbook of microbiology 4th edition.